Low glycemic index is seen in:
1. Corn flakes
2. Brown rice
3. Lentils
4. White bread

Correct answer: 3. Lentils

Explanation: GLYCEMIC INDEX OF FOOD ITEMS: Low GI (GI<55): Most fruits and vegetables (Except potato/Watermelon/sweet potato), Whole grains, Beans, Pasta, Lentils) Medium GI (GI 56-69): Sucrose, Basmati Rice, Brown rice High GI (GI > 70): Corn flakes, Baked potato, White bread, Candy bar, Syrup food, Jasmine rice. Ref: Park 25th edition Pgno: 652